site of action of vecuronium is
1. Cerebrum
2. Reticular formation
3. Motor neuron
4. Myoneural junction

Correct answer: 4. Myoneural junction

Explanation: Vecuronium is the non-depolarising neuromuscular blocker, acts on nicotinic receptors(Nm) at myoneural junction.